Occipital myotome gives
1. Muscle of mastication
2. Tongue muscles
3. Facial muscles
4. Laryngeal muscles

Correct answer: 2. Tongue muscles

Explanation: The muscles of the tongue develop from myoblasts that migrate into developing tongue from the occipital myotomes. The hypoglossal nerve-the nerve of the occipital myotomes-accompanies the myoblasts during their migration to the pharyngeal arches and innervates the muscle of the tongue as they develop. The migration of the occipital myotomes to the tongue explains the course of the hypoglossal nerve. The laryngeal muscles develop from 4th and 6th pharyngeal arches The muscles of mastication from the first arch. The muscles of facial expression from the second arch. Reference: Textbook of clinical embryology,1st edition, Vishram Singh, page no.123,112